Inhalational agent of choice in children:
1. Sevoflurane
2. Isofurane
3. Desflurane
4. Halothane

Correct answer: 1. Sevoflurane

Explanation: A. i.e. Sevoflurane